A depressed patient does not want to take medication on a daily basis. The selective serotonin reuptake inhibitor (SSRI) most suitable for this patient is?
1. Escitalporam
2. Fluoxetine
3. Fluvoxamine
4. Paroxetine

Correct answer: 2. Fluoxetine

Explanation: The half life of fluoxetine is longer than 72 hour so patient can take the medication every other day and thus it is most suitable for him.